In erythema migrans, which papilla of tongue are absent:
1. Fungiform
2. Foliate
3. Filliform
4. Circumvallate

Correct answer: 3. Filliform